The refractive power of emmatropic eye is
1. 50 D
2. 58D
3. 65 D
4. 68 D

Correct answer: 2. 58D

Explanation: (58-D) (26-Khurana4rd)* The total dioptric power is +58 D, of which cornea contributes + 43 D and the lens + 15 DDimensions of an adult eyeballAnterior posterior diameter24 mmHorizontal diameter23.5 mmVertical diameter23 mmCircumference75 mmVolume6.5 mlWeight7 gm.